All of the following are clinical features of myxomas , except
1. Fever
2. Clubbing
3. Hypertension
4. Embolic phenomenon

Correct answer: 3. Hypertension

Explanation: Ref Harrison 19 th ed pg 1577: 289e-1 Myxomas also may present with peripheral or pulmonary emboli or with constitutional signs and symptoms, including fever, weight loss, cachexia, malaise, arthralgias, rash, digital clubbing, Raynaud's phenomenon, hypergam- maglobulinemia, anemia, polycythemia, leukocytosis, elevated eryth- rocyte sedimentation rate, thrombocytopenia, and thrombocytosis. These features account for the frequent misdiagnosis of patients with myxomas as having endocarditis, collagen vascular disease, or a para- neoplastic syndrome.